The basis of combining ritonavir with lopinavir :
1. Pharmaceutical compatibility
2. CYP3A4 inhibition by ritonavir
3. Long elimination half life of ritonavir
4. Ability to counteract side–effects of lopinavir

Correct answer: 2. CYP3A4 inhibition by ritonavir